Complication which commonly accompanies acute prostatitis:
1. Epididymitis
2. Orchitis
3. Seminal vesiculitis
4. Sterility

Correct answer: 3. Seminal vesiculitis

Explanation: ACUTE BACTERIAL PROSTATITIS MC organism- E.coli Catheterization and prostatic massage is contraindicated. MC used antibiotics are: TMP-SMX and Ciprofloxacin (Both are having better concentration in Prostatic tissue) Complication which commonly accompanies acute prostatis is Seminal vesiculitis.